A patient with sputum positive pulmonary tuberculosis is on ATT for the last 5 months but the patient is still positive for AFB in the sputum. This case refers to -
1. New case
2. Failure case
3. Relapse case
4. Drug defaulter

Correct answer: 2. Failure case

Explanation: Ans. is 'b' i.e., Failure case